Kaposi sarcoma is related to which virus?
1. HPV 16
2. HHV-8
3. EBV
4. CMV

Correct answer: 2. HHV-8

Explanation: ANSWER: (B) HHV-8REF: Jawetzs microbiology 24th edition chapter 33 Table 33-2"The Kaposi's sarcoma-associated herpesvirus, designated as human herpesvirus 8, is classified in the Rhadinovirus genus"Classification of Human Herpesviruses: Biologic PropertiesExamplesSubfamilyGrowth Cycle andCytopathologyLatent InfectionsOfficial Name ("Human herpes- virus )Common NameAlphaShort, cytolyticNeurons1Herpes simplex virus type 12Herpes simplex virus type 23Varicella-zoster virusBetaLong, cytomegalicGlands, kidneys5Cytomegalovirus Long,lymphoproliferativeLymphoid tissue6Human herpesvirus 67Human herpesvirus 7GammaVariable,lymphoproliferativeLymphoid tissue4Epstein-Barr virus8Kaposi's sarcoma-associated herpesvirus